Antral puncture is done through
1. Superior meatus
2. Inferior meatus
3. Middle meatus
4. All

Correct answer: 2. Inferior meatus

Explanation: Antral puncture and irrigation: Sinus cavity is irrigated with a cannula passed through the inferior meatus. Removal of pus and exudates helps the sinus mucosa to revert to normal. Ref: Dhingra 7e pg 219.